The tendon running in the groove below Sustentaculum tali
1. Tibialis posterior
2. Flexor digitoram longus
3. Flexor hallucis longus
4. Peroneus tertius

Correct answer: 3. Flexor hallucis longus

Explanation: The tendon running in the groove below Sustentaculum tali.
Flexor hallucis longus